The sodium-potassium pump is an example of
1. Active transport
2. Passive transport
3. Facilitated diffusion
4. Osmosis

Correct answer: 1. Active transport

Explanation: In Na+– K+ exchange, 3Na+ goes out and 2K+ goes into the cell with the utilization of ATP. 
Hence it is a primary active transport. Due to the net flow of Na+ outwards, there is a potential difference that occurs.